An 8-year-old boy presented with altered sensorium, nausea, vomiting, severe headache and right sided weakness. There was no history of trauma. On further examination, it was observed that the joints of the child were tender and stiff. Mother gave history of easy bruising along with frequent episodes of epistaxis and hematemesis. Lab findings revealed normal hematocrit with normal platelet count and PT and abnormally prolonged aPTT. Which of the following drugs is approved in the mild and moderate variants of the above disease: -
1. Desmopressin
2. Octreotide
3. Conivaptan
4. Sacubitril

Correct answer: 1. Desmopressin

Explanation: This is a case of Hemophilia A. NCcT head reveals an intraparenchymal hemorrhage - suggestive of hemophilia in absence of history of trauma or hypertension. Desmopressin vasopressin analog, or 1-deamino-8-d-arginine vasopressin (DDAVP), is considered the treatment of choice for mild and moderate hemophilia A. It is not effective in the treatment of severe hemophilia. DDAVP stimulates a transient increase in plasma FVIII levels